Anticoagulant used in coagulation study is?
1. Calcium citrate
2. EDTA
3. Sodium bromide
4. Trisodium citrate

Correct answer: 4. Trisodium citrate

Explanation: Trisodium citrate is the preferred anticoagulant for platelet and coagulation studies. EDTA: Primary use is for the CBC and individual components of the CBC. Pseudothrombocytopenia is seen when the blood sample is collected inEDTA vial In vitro artifact resulting from platelet agglutination antibodies (IgG, IgM,IgA) when the calcium content is decreased by blood collection in EDTA